Hirano bodies seen in?
1. Rabbies
2. Alzheimer's disease
3. Pick's disease
4. Viral encephalitis

Correct answer: 2. Alzheimer's disease

Explanation: Ans. is 'b' i.e., Alzheimer's disease Hirano bodies* They are intracellular, paracrystalline, eosinophilic structures often occurring as rod shapes in the neurons of individuals with neuro-degenerative diseases including Alzheimer's and some forms of Creutzfeldt-Jacob disease. They are intracellular aggregates of actin and actin-associated proteins* Most often encountered in neurons of the central nervous system in the neuronal processes in the pyramidal layer in the Sommers sector (CA1) of the hippocampus.